Drug of choice for rapid cyclers is
1. Lithium
2. Sodium valproate
3. Carbamazepine
4. Amitryptaline

Correct answer: 2. Sodium valproate

Explanation: Sodium valproate is the drug of choice for rapid cyclers.
Rapid cyclers has 4 or more than 4 episodes of mania, depression or hypomania in 1 year.